Which of the following statement about tubercular osteomyelitis is not true?
1. It is a type of secondary osteomyelitis
2. Sequestrum is uncommon
3. Periosteal reaction is characteristic
4. Inflammation is minimal

Correct answer: 3. Periosteal reaction is characteristic

Explanation: Tuberculous osteomyelitis is a type of secondary osteomyelitis. Sequestrum is uncommon in tubercular osteomyelitis. Periosteal reaction is common in Osteomyelitis, but there is little or no periosteal reaction in tubercular osteomyelitis. * In tubercular osteomyelitis,Inflammation is rare.